Secretin does not cause :
1. Secretin does not cause :
2. Auguments the action of CCK
3. Contraction of pyloic sphincter
4. Gastric secretion increase

Correct answer: 4. Gastric secretion increase

Explanation: D i.e. Gastric secretion increases